Highest mortality in pregnancy -
1. Eissenmenger syndrome
2. Fallot's tetrology
3. Coarctation of aorta
4. Marfan's syndrome

Correct answer: 1. Eissenmenger syndrome